EB virus is associated with all except:
1. Bells palsy
2. Hepatitis
3. Guillain-Barre syndrome
4. Laennec's cirrhosis

Correct answer: 4. Laennec's cirrhosis

Explanation: Complications with EBV infection Meningitis and encephalitis, cranial nerve palsies (cranial nerve VII), Guillain-Barre syndrome, acute transverse myelitis, and peripheral neuritis. Autoimmune hemolytic anemia, granulocytopenia, thrombocytopenia, pancytopenia The spleen ruptures in <0.5% of cases. Hypertrophy of lymphoid tissue in the tonsils or adenoids Other rare complications- hepatitis (which can be fulminant), myocarditis or pericarditis, pneumonia with pleural effusion, interstitial nephritis, genital ulcerations, and vasculitis. Laennec's cirrhosis- associated with alcoholism